Etiological agent of Roseola infantum includes
1. CMV
2. EBV
3. Parvovirus
4. Human Herpes virus 6

Correct answer: 4. Human Herpes virus 6

Explanation: Roseola infantumA history of 3 days of high-grade fever in an otherwise nontoxic 10-month-old child with a blanchable maculopapular rash on trunk -Roseola.Mean duration- 6days - so sixth disease/Exanthem subitum.Nagayama spots-ulcers at uvulopalatoglossal junction.DD - Measles, Rubella, Drug allergy.M/C complication-convulsions / recurrent seizures/temporal lobe epilepsy.Rx suppoiveSevere cases-Ganciclovir/ Foscarnet.(Refer: Nelson's Textbook of Paediatrics, 19thedition, pg no:1117)